Peristalsis of ureter depends on
1. Sympathetic flow
2. Parasympathetic flow
3. Sympathetic and Parasympathetic flow
4. Pacemaker in smooth muscle of renal calyces

Correct answer: 4. Pacemaker in smooth muscle of renal calyces

Explanation: D i.e. Pacemaker activity in smooth muscles of renalcalycesWalls of renal calyces & pelvis contain specialized smooth muscle with inherent pacemaker activityQ. Urine flowing from collecting duct into renal calyces stretches it and increases their inherent pacemaker activity which inturn initiates peristaltic contractionsQ that spread to renal pelvis & then downwards along the length of ureter.Walls of ureter contain smooth muscle and are innervated by both parasympathetic and sympathetic nerves as well as by intramural plexus of neurons. As with other smooth muscles, peristaltic contractions in ureter are enhanced by parasympathetic stimulation & inhibited by sympathetic stimulationQ